Which of the following is the most likely diagnosis in a 27 year old obese woman presenting with Oligomenorrhea, infertility and hirsutism ?
1. Polycystic ovaries
2. Endometriosis
3. Pelvic inflammatory disease
4. Turner's syndrome

Correct answer: 1. Polycystic ovaries

Explanation: Ans. is a i.e. Polycystic ovary A young woman presenting in the third decade with obesity, oligomenorrhea, infertility and hirsutism leaves no doubt for the diagnosis of PCOS Detailed Diagnostic Criteria of Major criteria Minor criteria Chronic anovulationdeg 2. Hyperandrogenemiadeg in absence of any notable cause : Clinical evidence Laboratory evidence Pathologies like ovarian or adrenal neoplasms, pituitary disease or CAH that may cause hyperandrogenemia should be excluded Premenarcheal onset of : Hirsutismdeg Obesitydeg Insulin resistancedeg Elevated LH : FSH Ratiodeg Intermittent anovulation associated hyperandrogenemia (T free testosterone, Ted DHEAS)